All of the following acts on GABA receptor except
1. Propofol
2. Thiopentone
3. Etomidate
4. Dexmedetomidine

Correct answer: 4. Dexmedetomidine

Explanation: Dexmedetomidine acts on alpha 2 -adrenoceptor. propofol , thiopentone and etomidate acts on GABA receptor ketamine acts on NMDA receptor